Auspitz sign is seen in:
1. Pustular psoriasis
2. Plaque type psoriasis
3. Lichenn planus
4. Pityriasis rubra pilaris

Correct answer: 2. Plaque type psoriasis

Explanation: Plaque type psoriasis